Takayam test is used for ?
1. To know the nature of stain
2. To know the species
3. For blood grouping
4. None of the above

Correct answer: 1. To know the nature of stain

Explanation: Ans. is 'a' i.e., To know the nature of stain It is a microchemical test to know the nature of stain.Microchemical tests :These tests are based on property of haem part of hemoglobin to form characteristic coloured crystals.Teichmann's haemin crystal testTakayama hemochromogen crystal testLuminal spray test : It is especially useful in old obscure blood stains